"Pathergy" Test is specific for -
1. Caplan's syndrome
2. Sjogren's syndrome
3. Behcet's syndrome
4. Felty's syndrome

Correct answer: 3. Behcet's syndrome